Regarding Baby-friendly UNICEF plan, all are true EXCEPT:
1. Mother and child are left together 24 hours a day
2. Feeding on demand
3. No food/water given other than breast milk
4. Feeding started within 4 hours of birth in normal delivery

Correct answer: 4. Feeding started within 4 hours of birth in normal delivery

Explanation: Ans: D i.e. Feeding stared within 4 hours of birth in normal delivery Feeding is started within 1/2 hour of normal vaginal delivery and within 4 hours of Caesarean section.